The size of sprue in casting an average bicuspid M.O.D. casting by centrifugal force is
1. 10 gauge
2. 12 gauge
3. 16 gauge
4. 20 gauge

Correct answer: 2. 12 gauge